As per the National Population Policy 2000, the medium-term objective is to bring the total Fertility rate to replacement level by which year?
1. 2008
2. 2010
3. 2012
4. 2014

Correct answer: 2. 2010

Explanation: The NPP 2000 anticipates that proper implementation of this policy will help limit the population to 1,107 million (110 crores) in 2010, instead of 1,162 million (116 crores) as projected by the Technical Group on Population Projections. It is hoped that the TFR will reach the replacement level of 2.1 by 2010. The long-term objective of achieving a stable population by 2045, at a level consistent with the requirements of sustainable economic growth, social development, and environment protection will also require considerable effort and efficient implementation of the NPP. Ref: